Which joint is most commonly affected in pseudogout -
1. Knee
2. Hip
3. MP joint great toe
4. MP joint thumb

Correct answer: 1. Knee

Explanation: Ans. is 'a' i.e., Knee Pseudogout It is one of the forms of "Calcium pyrophosphate dihydrate" (CPPD) arthropathy. Pseudogout commonly involves the larger joints. Knee joint is most commonly involved; other sites are wrist, elbow, shoulder, ankle. Involvement of small joints is uncommon. Age group is > 60 yrs. In CPPD arthropathy, CPPD deposition occurs in articular tissues. It can present in any of the following three forms :? 1) Asympatomatic chondrocalcinosis 2) Acute synovitis - Pseudogout 3) Chronic pyrophosphate arthropathy The radiologic hallmark of CPPD is "chondrocalcinosis. Chondrocalcinosis is seen as punctate and/or linear radiodense deposits in fibrocartilaginous joint menisci or articular hyaline cartilage. Definitive diagnosis is made by synovial fluid polarised light microscopy which shows weakly positive, birefringent, rhomboid crystals of CPPD.